A witness comes to court for evidence recording witness is giving false evidence in court of law The offence is punishable under which IPC
1. 191
2. 192
3. 193
4. 197

Correct answer: 3. 193

Explanation: 193- perjury punishment 191-false evidence 192-fabricating false evidence ref : narayana reddy